Which of the following is false:
1. Cluster C: Borderline personality disorder
2. Cluster B: Antisocial personality disorder
3. Cluster C: Obsessive compulsive personality disorder
4. Cluster B: Histrionic personality disorder

Correct answer: 1. Cluster C: Borderline personality disorder

Explanation: Borderline personality disorder is a Cluster B personality disorder.